Best prognosis of all thyroid cancers:
1. Papillary
2. Follicular
3. Medullary
4. Anaplastic

Correct answer: 1. Papillary

Explanation: Ans. (a) Papillary cancer(Refer Bailey and Love 27th edition, Page 816* Best prognosis - Papillary cancer* Worst prognosis - Anaplastic cancer